Most common mental disorder as a cause of suicide
1. Mania
2. Depression
3. Alcohol dependence
4. Schizophrenia

Correct answer: 2. Depression

Explanation: Suicide is a model of psychiatric emergencies and is also the commonest cause of death among the psychiatric patient's psychiatric disorders are a major cause of suicide, for example, depression(1major depression 2depression secondary to a serious physical illness 3reactive depression), alcoholism and drug dependence and schizophrenia (Ref: a short textbook of psychiatry, Niraj Ahuja, 7th edition, pg no.222)